The most common site of vulval cancer :
1. Labia majora
2. Labia minora
3. Prepuce of the clitoris
4. Bartholin's gland

Correct answer: 1. Labia majora

Explanation: -vulval cancer accounts for 2-4% of all malignancies of the female genital tract. -increasing number of lesions in younger women and associated with HPV and HIV infections. - the lesion is more commonly encountered over the labia majora ( 70%) Reference : Shaw's Textbook of gynaecology, 16th edition, pg no: 478